Cyanide antidote kit does not contain:
1. Sodium thiosulfate
2. Sodium nitrite
3. Sodium bicarbonate
4. Amyl nitrite

Correct answer: 3. Sodium bicarbonate

Explanation: Ans. Sodium bicarbonate